A 45 year old man presents with hematuria. Renal biopsy demonstrates a focal necrotizing glomerulonephritis with crescent formation. The patient gives history of intermittent hemoptysis and intermittent chest pain of moderate intensity. A previous chest X-ray had demonstrated 90 multiple opacities, some of which were cavitated. The patient also has chronic cold like nasal symptoms. What is the most probable diagnosis?
1. Aspergillosis
2. Polyarteritis nodosa
3. Renal carcinoma metastatic to lung
4. Wegener's granulomatosis

Correct answer: 4. Wegener's granulomatosis

Explanation: The patient has involvement of: Upper respiratory tract= chronic cold symptoms suggestive of sinusitis Lower respiratory tract = intermittent hemoptysis due to bilateral lung cavitation Kidney involvement= Hematuria with necrotizing vasculitis. Diagnosis goes in favor of granulomatosis with angitis (Wegener's Granulomatosis). For diagnosis c-ANCA will be helpful along with biopsy findings of vasculitis. The cytoplasmic pattern of immunofluorescence (c-ANCA) is caused by PR3-ANCA and has high specificity>90% for granulomatosis with angitis. Aspergillosis Involve lungs in invasive aspergilloma but multiple cavity formation is not seen and neither is glomerulonephritis. Polyarteritis nodosa Ruled out as lung and pulmonary artery involvement is not seen. Renal cell carcinoma metastatic to lung Ruled out since it is mentioned that Renal biopsy shows segmental necrotizing glomerulonephritis